Which of the following indicates the function of glands of Wolfring?
1. Sweat gland
2. Salivary gland
3. Sebaceous gland
4. Lacrimal gland

Correct answer: 4. Lacrimal gland

Explanation: Glands of Wolfring and Krause are accessory lacrimal glands. They resemble lacrimal gland in structure and function and is located in the conjunctival stroma. Most of the glands of Wolfring lies at the superior margin of the upper tarsus, and most of the glands of Krause lies in the upper fornix. Glands of Zeiss are sebaceous glands associated with the cilia. Glands of Moll are modified sweat glands arranged in a single row numbering 20-30 in each lid. Meibomian glands or tarsal glands are modified sweat glands arranged in a single row numbering 20-30 in each lid. Ref: Riordan-Eva P. (2011). Chapter 1. Anatomy & Embryology of the Eye. In P. Riordan-Eva, E.T. Cunningham, Jr. (Eds), Vaughan & Asbury's General Ophthalmology, 18e.